Contraindications to tonsillectomy are the following except
1. Submucus fibrosis
2. Bleeding disorders
3. Epidemic of polio
4. Tonsillitis (Acute)

Correct answer: 1. Submucus fibrosis

Explanation: Ans. a (Submucus fibrosis). (Ref. Diseases of ENT, Bhargawa, 5th ed., 275, 448 & PL Dhingra, 3rd ed., 490)TONSILLECTOMYINDICATIONS FOR TONSILLECTOMYContraindications for tonsillectomy- 3 or more episodes/year- Hypertrophy causing malocclusion, UAO- Peritonsillar abscess unresponsive to nonsurgical Rx- Halitosis, not responsive to medical therapy- UTE, suspicious for malignancy- Individual considerations- Age < 3 years- Acute infections (Acute tonsillitis, URTI, etc)- Bleeding diathesis- Cleft palate- Diabetes/Hypertension- Epidemic of polio- Females during menses and pregnancy.In Tonsillectomy the most common source of hemorrhage is paratonsillar vein.Blood supply of tonsils(Mnemonic = DAGA)- Dorsal lingual artery(Branch of Lingual artery)- Ascending palatine artery (Branch of facial artery)- Greater palatine artery(Branch of maxillary artery)- Ascending pharyngeal artery (Branch of External Carotid Artery)INTERVAL TONSILLECTOMY can be considered after successful abscess drainage, usually from recurrent peritonsillar abscess after 4-6 weeks.